A female post open cholecystectomy through general Anesthesia after 12 hours she is dyspneic. Right lower lobe crepitations present. Probable cause is
1. Drug collapse
2. Atelectasis
3. Pulmonary edema
4. Myocardial infarction

Correct answer: 2. Atelectasis

Explanation: Ans. (b) AtelectasisRef: Bailey and Love 26th edition Page 273Post op complications - Respiratory:* MC post operative complications are - Hypoxemia, Hypercarbia and Aspiration in recovery room* Hypoxia reasons:# Upper airway obstruction due to secretion# Laryngeal edema# Recurrent laryngeal nerve injury after thyroid surgery# Hypoventilation related to anesthesia# Atelectasis# Pneumonia# Pulmonary edema of cardiac origin# Pulmonary embolism